Which of the following disease is associated with Erythema migrans ?
1. Endemic typhus
2. Scrub typhus
3. Lyme's disease
4. Masters disease

Correct answer: 3. Lyme's disease

Explanation: Papule expanding to erythematous annular lesion with central clearing (erythema migrans) is a feature of lyme's disease caused by Borrelia burgdorferi. Reference: Harrisons Principles of Internal Medicine, 18th Edition, Page 150